Below is shown the Slide of Testis. Supporting cells of testis are:
1. Leyding cells
2. Sertoli Cells
3. Spermatids
4. Spermatogonia

Correct answer: 2. Sertoli Cells

Explanation: Sertoli Cells